PERT type of system is used for –
1. Cost effective analysis
2. Cost benefit analysis
3. Network analysis
4. Input-Output analysis

Correct answer: 3. Network analysis

Explanation: Network analysis

A network analysis is a graphic of all events and activities to be completed in order to reach an end objective.
It brings greater discipline in planning.
The two common types of network technique are :


Programme Evaluation and Review technique (PERT)
Critical Path method (CPM)